Choriocarcinoma commonly metastasize to:
1. Brain
2. Lung
3. Vagina
4. Ovary

Correct answer: 2. Lung

Explanation: Symptoms pertaining to metastasis elsewhere like haemoptysis or features suggestive of an intracranial space occupying lesion.It can also present as vaginal metastasis.The common sites of metastasis are the lungs in 75% and suburethral vaginal metastasis in 50%.Theca lutein cysts of the ovaries are usually seen (refer pgno:173 sheila textbook of obstetrics 2 nd edition)